Operculated sulcus is another name of
1. Central Sulcus
2. Lunate Sulcus
3. Collateral Sulcus
4. Calcarine Sulcus

Correct answer: 2. Lunate Sulcus